Not a Radiological sign of Ulcerative colius
1. Raspberry appearance
2. Toxic megacolon
3. Lead Pipe appearance
4. Pseudopolyps

Correct answer: 1. Raspberry appearance

Explanation: Raspberry / rose thorm appearance is seen in crohn's disease.